A child with history of recurrent throat infrctions presents with hematuria and proteinuria with the last infection being 3 weeks back. The diagnosis is-
1. Berger's disease
2. Henoch Schonlein purpura
3. Membranoproliferative glomerulonephritis
4. Poststreptococcal glomerulonephritis

Correct answer: 4. Poststreptococcal glomerulonephritis

Explanation: Ans. is 'd' i.e., Poststreptococcal glomerulonephritis Post streptococcal glomerulonephritiso PSGN appears 1 to 4 weeks after a streptococcal infection of pharynx or skin (impetigo). It is caused by certain nephritogenic serotypes of group A -hemolytic streptococcus (not by all serotypes)o The lesions are caused by immune complex deposition and activation of complement complement level decreaseso It occurs most frequently in children 6 to 10 years of age.o Clinically child presents with acute nephritic svndromei) Hematuriaii) Oliguric acute renal failureiii) Azotemiaiv) Proteinuriav) Hypertensionvi) Edemao PSGN causes acute renal failure, but not chronic renal failure-more than 95% of affected children eventually recover totally with conservative therapy.Treatmento Management is directed at treating the acute effects of renal insufficiency and hypertension.?o Although a 10 day course of systemic antibiotic therapy with penicillin is recommended to limit the spread ofnephritogenic organisms, antibiotic therapy does not affect the natural history of glomerulonephritis